which of the following antidepressent is used for smoking sessation
1. bupropion
2. mirtazapine
3. trazadone
4. clomipramine

Correct answer: 1. bupropion

Explanation: NDRI * IMPORTANCE Anti-depressant which does not deal with serotonin neurotransmission Also called as Zyban * MECHANISM Prevents reuptake of nor adrenaline and dopamine * DRUGS Bupropion * USE ADHD SMOKING CESSATION HYPOACTIVE SEXUAL DESIRE DISORDER * SIDE EFFECTS seizures ref. kaplon and sadock, synopsis of psychiatry, 11 th edition, pg no. 954